Most common heart lesion in down syndrome:
1. Endocardial cushion defect
2. ASD with ostium secundum
3. VSD
4. Coarctation of aorta

Correct answer: 1. Endocardial cushion defect

Explanation: a. Endocardial cushion defect(Ref: Nelson's 20/e p 610-614)Most common cardiac defect in Down syndrome is Endocardial cushion defect or Atrioventricular septal defect